Pilonidal sinus position for treatment -
1. Jack knife
2. Sim's position
3. Prone
4. Supine

Correct answer: 1. Jack knife

Explanation: Ans. is 'a' i.e., Jack knife Jack knife positiono An anatomical position in which the patient is placed on the stomach with the hips flexed and the knees bent at a 90deg angle and the arm outstretached in front of the patient.Pilonidal diseaseo Pilonidal disease consists of a hair-containing abscess or chronic sinus, occurring in the intergluteal cleft.o It is an acquired disease,o More common in maleso Treatment of choice is surgeryy Pilonidal sinus should be excised along with the secondary openings. (But only after controlling acute infection). Acute pilonidal abscesses and sinus ds can be managed by simple incision and drainage (under local anaesthesia).